Metabolic acidosis is not seen in the poisoning of:
1. Salicylate
2. Ethanol
3. Ethylene glycol
4. Organophosphorus

Correct answer: 4. Organophosphorus

Explanation: Ans: d (Organophosphorus) Ref: Harrison, 16th ed, p. 265,17th ed, p. 289Metabolic acidosis is seen in the poisoning with salicylate, ethanol, ethylene glycol but not with organophosphorus.Metabolic acidosis is divided into two types based on the anion gap i.e., high or normal anion gapCauses of normal anion gap acidosisDiarrhoeaRenal tubular acidosisIngestion of ammonium chlorideUreterosigmoidostomyFistulasDleostomyMineralocorticoid deficiencyAcetazolamideHyperparathyroidismCauses of high anion gap acidosisKetosis (diabetes, alcoholism, malnutrition)UraemiaSalicylate poisoningMethanolEthylene glycol poisoningUraemiaLactic acidosisKUSMAUL (formerly called aethylene)